Lesser cornu of hyoid bone is derived from which arch:
1. 1st mandibular arch
2. 2ndbranchial arch
3. 3rdbranchial arch
4. 4th branchial arch

Correct answer: 2. 2ndbranchial arch

Explanation: Ans. (b) 2nd branchial archRef. Inderbir Singh's Embroyology 9th ed. /116-117, 7th ed. /119-120* At first there are 6 arches. The 5th arch disappears.* Lesser cornu of hyoid bone is derived from 2nd arch.* Greater cornu of hyoid bone is derived from 3rdarch.Derivatives of Branchial arches and their respective nerve supply1st Branchial arch2nd Branchial arch3rd Branchial arch4th Branchial arch6th Branchial arch# Malleus and Incus# Maxilla# Mandible# Muscle of mastication# Stapes# Upper half of body of hyoid# Lesser cornu of hyoid# Muscle of facial expression# Lower part of body of hyoid# Greater cornu of hyoid# Thymus# Upper thyroid cartilage# Cricothyroid muscle# Lower half of thyroid cartilage# Arytenoid, Cuneiform, Corniculate cartilage# All intrinsic laryngeal muscle except cricothyroidNerve: Mandibular branch of CN 5thFacial NerveGlossopharyngeal nerveVagus + Superior Laryngeal nerveVagus + Recurrent laryngeal nerve